The most characteristic eye lesion in diabetes is:
1. Flame haemorrhages
2. Papilledema
3. Capillary aneurysm
4. Cataracts

Correct answer: 3. Capillary aneurysm

Explanation: Ans. Capillary aneurysm